Coagulative necrosis as a primary event is most often seen in all except:
1. Kidneys
2. CNS
3. Spleen
4. Liver

Correct answer: 2. CNS